Burden of disease is best detected by -
1. DALY
2. Sullivan's index
3. IMR
4. Survival index

Correct answer: 1. DALY

Explanation: Ans. is 'a' i.e., DALY Disability - adjusted life year (DALY) DALY is a measure of :- i) The burden of disease in a defined population ii) The effectiveness of interventions o It expresses years lost to premature death and years lived with disability adjusted for the severity of the disability. o That means, DALY measures both mortality and disability together (in contrast to sullivan's index which is related to disability only). One DALY is one lost year of healthy life. Following information has been added in 22'/e of Park DALY combines following.,: - i) Years of lost life (YLL). ii) Years lost to disability (YLD) DALY = YLL+ YLD o Japanese life expectancy statistics are used as a standard for measuring premature death, as Japanese have the longest life expectancy. Health - adjusted life expectancy (HALE) HALE is the indicator used to measure healthy life expectancy. HALE is based on the life expectancy at birth but includes an adjustment for time spent in poor health. It is the equivalent number of years in full health that a newborn can expect to live based on current rates of ill health and mortality.